What is a Baker's Cyst -
1. Gluteal Abscess
2. Cyst on the posterior aspect of the thigh
3. Cyst over the popliteal fossa
4. Swelling of the bursa of semiteninosus and gracilis

Correct answer: 3. Cyst over the popliteal fossa

Explanation: Ans. is 'c' i.e., Cyst over the popliteal fossa Baker's Cvsto A Baker's cyst, also known as a popliteal cyst, is a benign swelling of the semimembranosus or more rarely some othersynovial bursa found behind the knee joint.o Diagnosis is by examination. A Baker's cyst is easier to see from behind with the patient standing with knees fully extended. It is most easily palpated (felt) with the knee partially flexed. Diagnosis is confirmed by ultrasonography, although if needed and there is no suspicion of a popliteal artery aneurysm then aspiration of synovial fluid from the cyst may be undertaken with care. An MRI image can reveal presence of a Baker's cysto Baker's cysts usually require no treatment unless they are symptomatico Surgical excision is reserved for cysts that cause a great amount of discomfort to the patient.